What is the type of Galactosemia cataract?
1. Snowflake
2. Oil drop
3. Blue dot
4. Polychromaticlustre

Correct answer: 2. Oil drop

Explanation: Ans. is 'b' i.e., Oil drop DiseaseCataractMyotonic DystophyChristmas tree cataractWilson's disease, chalcosisSunflower cataractDM, Down's SyndromeSnowflake cataractAtopic dermatitisBlue dot cortical cataract, posterior subcapsular cataractCongenital rubellaNuclear cataractGalactosemiaOil drop cataractComplicated cataract (Iridocyclitis, High myopia)Posterior cortical breads's crumb appearance Polychromatic lusture / Rainbow cataractBlunt traumaVossius ring on anterior surface of lens Rosette shaped cataract